Which of the following is the least likely physiological change in pregnancy :
1. Increase in intravascular volume
2. Increase in cardiac output
3. Increase in stroke volume
4. Increase In peripheral vascular resistance

Correct answer: 4. Increase In peripheral vascular resistance

Explanation: The increase in cardiac output does not cause increase in BP. This is due to massive fall in peripheral vascular resistance due to smooth muscle relaxant properties of progesterone. Reference : Dutta's Textbook of Obstetrics 7th edition page 53